Stature of an unknown person can be found out from long bones, by applying all the following formulas except
1. Trotter and Glesser
2. Karl Pearson
3. Haase
4. Dupeuis and Hadden

Correct answer: 3. Haase

Explanation: Hasses rule is for foetus age determination based on length . HASSE'S RULE For the first 5 months of the foetus - Square root of the length of the foetus in cm gives its age in lunar months After 5 months - 1/5th of the length of the foetus in cm gives the age in lunar months Ref : Krishnan vij Textbook of Forensic medicine and Toxicology 5th edtion ; pg no - 389